Gaucher's disease is due to deficiency of enzyme
1. Sphingomyelinase
2. β–Glucosidase
3. Hexosaminidase–A
4. β–Galactosidase

Correct answer: 2. β–Glucosidase